Which of the following is not a common manifestation of congenital Rubella?
1. Deafness
2. PDA
3. Aortic stenosis
4. Intellectual disability

Correct answer: 3. Aortic stenosis

Explanation: Most common finding of congenital Rubella is IUGR. Other manifestations are cataract, PDA, Pulmonary stenosis, sensorineural hearing loss meningoencephalitis, pneumonia, hepatitis, bone lucencies, thrombocytopenic purpura, anemia. Late sequelae include motor and intellectual disability. Ref: Kliegman, Behrman, Jenson, Stanton, (2007), Chapter 244, "Rubella", In the book, "Nelson's Textbook of Pediatrics", Volume 1, 18th Edition, New Delhi, Page 1340